Aortic regurgitation does NOT occur in
1. Acute MI
2. Marfan's syndrome
3. Rheumatic heart disease
4. Infective endocarditis

Correct answer: 1. Acute MI

Explanation: Aortic regurgitation Valvular Congenital (bicuspid) Endocarditis Rheumatic fever Myxomatous (prolapse) Traumatic Syphilis Ankylosing spondylitis Root disease Aortic dissection Cystic medial degeneration Marfan's syndrome Bicuspid aortic valve Nonsyndromic familial aneurysm Aortitis Hypertension ( Harrison's principle of internal medicine,18th edition,pg no.1930)